Which of the following is the site of bladder injury in abdominal hysterectomy is :
1. Anterior wall
2. Posterior wall
3. Medial wall
4. Lateral wall

Correct answer: 2. Posterior wall

Explanation: Posterior wall